Cambium layer is seen in:
1. Embryonal rhabdomyosarcoma
2. Pleomorphic rhabdomyosarcoma
3. Alveolar rhabdomyosarcoma
4. Undifferentiated rhabdomyosarcoma

Correct answer: 1. Embryonal rhabdomyosarcoma

Explanation: Ans. (a) Embryonal rhabdomyosarcoma(Ref: Robbins 9th/pg 1253)In Sarcoma botryoides, a variant of embryonal rhabdomyosarcoma, histology shows a cambium layer where the tumors about the mucosa of an organ, they form a submucosal zone of hypercellularity.